Medication which may prevent rapid progression of cochlear Otosclerosis is:
1. Steroids
2. Antibiotics
3. Fluorides
4. Vitamins

Correct answer: 3. Fluorides

Explanation: (c) Fluorides(Ref. Cummings, 6th ed., 2218)In active otosclerosis cases, i.e. when Schwartz sign is present medical management with sodium fluoride (Na F) decreases the progression by accelerating the maturation and inhibiting proteolytic enzymes.As per the pathogenesis of otosclerosis steroids, antibiotics and vitamins have no role in the management of otosclerosis.